Jarisch Herxheimer reaction is commonly seen in:
1. Early syphilis
2. Late congenital syphilis
3. Latent syphilis
4. Syphilis of cardiovascular system

Correct answer: 1. Early syphilis

Explanation: A i.e. Early syphilis Jarisch - Herxheimer - Reaction, consisting of fever & constitutional symptoms may follow the treatment of syphilisQ most commonly in secondary syphilis > primary syphilis > Early latent syphilis.